What kind of a joint is syndesmosis?
1. Fibrous
2. Plain
3. Pivot
4. Cartilaginous

Correct answer: 1. Fibrous

Explanation: Fibrous joints are sutures, syndesmosis, and gomphoses